Which of the following is known to cause Pedal Botryomycosis -
1. Actinomyces somaliensis
2. Nocardia asteroides
3. Staphylococcus aureus
4. All of the above

Correct answer: 3. Staphylococcus aureus